Difference between post burn rupture & incised wound -
1. Seen in front of the thigh
2. Intact blood vessels & nerve at floor of the wound
3. Bleeding from the wound
4. Small and multiple

Correct answer: 2. Intact blood vessels & nerve at floor of the wound

Explanation: Reff: The synopsis of forensic medicine& Toxicology 28th edition pg: 167 Heat ruptures: These are produced by splitting of soft parts at the joints. They may be confused with the incised or lacerated wounds. Can be differentiated from them by the absence of bleeding; presence of intact vessels and nerves; irregular margins and absence of bruising and other vital reactions.